Which of the following gene defects is associated with development of medullary carcinoma of thyroid -
1. Ret proto oncogene
2. FAP gene
3. Rb gene
4. BRCA 1 gene

Correct answer: 1. Ret proto oncogene